A cotton wool appearance may be used to describe the radiograph of a patient with _____.
1. Osteopetrosis
2. Osteitis deformans
3. Peutz-Jeghers syndrome
4. Seborrheic keratosis

Correct answer: 2. Osteitis deformans

Explanation: Radiographic findings of a cotton-wool appearance is common in patients diagnosed with osteitis deformans or Paget’s disease.